The syndrome of geographic tongue should be treated by
1. Excision of the lesion
2. Penicillin therapy
3. Topical application of Nystatin
4. Routine observation at recall time

Correct answer: 4. Routine observation at recall time